Which drug doesn't include DMARD:
1. Chloroquine
2. Vincristine
3. Azathioprine
4. Leflunomide

Correct answer: 2. Vincristine

Explanation: Ans. is 'b' i.e., Vincristine Drugs used for Rheumatoid arthritisDisease modifying antirheumatic drugs (DMARDs)Biologic response modifier (BRMs)Adjuvant drugs1. Immunosuppresants - Methotrexate, azathioprine, cyclosporineo TNF a - inhibitors Etanercept, Infliximab,o Corticosteroids2. SulfasalazineAdalimumab 3. Choloroquine or hydroxychloroquineo IL-1 antagonist 4. LeflunomideAnakinra 5. Gold sod. thiomalate, Auranofin 6. d - Penicillamine Important DM ARDsMechanism of actiono MethotrexateDihydrofolate reductase inhibitoro SulfasalazineSulfapyridine moiety suppresses the generation of superoxide radicals and cytokine production o LeflunomideIs rapidly converted in the body to an active metabolite which inhibits dihydroorotate dehydrogenase .o Hydroxychloroquineo Reduce monocyte 1L-1. consequently inhibiting B-celIso Interferes with antigen processingo Stabilizes lysosome and free radical scavenging.